Which one of the following is not an aetiology of transudative pleural effusion?
1. Mesothelioma
2. Congestive heart failure
3. Cirrhosis
4. Nephrotic syndrome

Correct answer: 1. Mesothelioma

Explanation: Malignant mesothelioma produces exudative pleural effusion.The chest radiograph reveals a pleural effusion,generalized pleural thickening,and a shrunken hemithorax.Mesothelioma arise from the mesothelial cells,and most are related to asbestos exposure. Reference:Harrison's medicine-18th edition,page no:2179.